CMV retinitis in HIV patient is seen when CD4 count is -
1. <50
2. <100
3. <200
4. <150

Correct answer: 1. <50

Explanation: Cytomegalovirus retinitis (CMVR) is an AIDS-defining diagnosis, and typically occurs when CD4 counts fall below 50 cells per ml . Ref - Davidson 23rd edition pg 340